Macular sparing is seen in the affection of-
1. Optic nerve
2. Optic tract
3. Optic chiasma
4. Occipital lobe

Correct answer: 4. Occipital lobe

Explanation: Occipital lobe. Lesions of the visual cortex. Congruous homonymous hemianopia (usually sparing the macula, is a feature of occlusion of posterior cerebral artery supplying the anterior part of occipital cortex. Congruous homonymous macular defect occurs in lesions of the tip of the occipital cortex following head injury or gun shot injuries. Pupillary light reflexes are normal and optic atrophy does not occur following visual cortex lesions. Ref: AK Khurana 4thE pg 290